Erythropoetin in fetus is secreted by?
1. Liver
2. Marrow
3. Spleen
4. Kidney

Correct answer: 1. Liver

Explanation: Sources of erythropoietin: Fetus: Liver Adult: Interstitial cells in peritubular capillary bed of kidneys (85%). Perivenous hepatocytes in the liver (15%). Brain (protective effect against excitotoxic damage triggered by hypoxia).